Swan neck deformity -
1. Flexion at PIP and DIP joint
2. Extention at PIP and DIP joint
3. Flexion at PIP and Extention at DIP joint
4. Extention at PIP and Flexion at DIP joint

Correct answer: 4. Extention at PIP and Flexion at DIP joint

Explanation: Ans. is 'd' i.e., Extention at PIP and Flexion at DIP joint * Boutonniere deformity: Flexion contracture of PIP joint and extension of DIP joint.* Swan neck deformity: Hyperextension of PIP joint and flexion at DIP joint.